Fluoroacetate inhibits which of the following metabolic processes?
1. TCA cycle
2. Glycolytic pathway
3. Oxidative phosphorylation
4. ETC

Correct answer: 1. TCA cycle

Explanation: Fluoroacetate is the non-competitive inhibitor of Aconitase